In spinal anaesthesia drug is deposited between:
1. Mater and duramater
2. Piamater and arachnoid
3. Below duramater
4. Above piamater

Correct answer: 2. Piamater and arachnoid

Explanation: Piamater and arachnoid